Rickets in infancy is characterised by the following except :
1. Craniotabes
2. Rachitic rosary
3. Wide open fontanelles
4. Bow legs

Correct answer: 4. Bow legs

Explanation: Bow legs Mel: Ghai Paediatrics 6/e, p 128. Nelson 17/e,p 183; Apley's 8/e, p 119] Ghai states - "Long bones of legs get deformed when the child starts bearing weight. Therefore deformities of legs are unusual before the age of 1 year. Anterior bowing of legs, knock knee and coxa vera are the usual deformities." Clinical manifestation of Rickets: The main factor responsible for pathogenesis in Rickets: - In rickets the abdomen is protuberant (pot belly) because of marked hypotonia of abdominal wall muscles. Visceral proptosis and lumbar lordosis also occurs in rickets. More Questions on rickets: ? Earliest manifestation of Rickets Craniotabes Clinical manifestation of Rickets appears at later half of first year or in T.'d year. (Unusual below the age of 3 months) Questions on Radiological feature of Rickets: ? - Earliest radiological changes appear in long bones of radius and ulna - Cupping of inetaphyses - Large gap b/w epiphyses and metaphyses (widening of the phy.vis i.e. growth plate) - Irregular metaphyseal margins (ill-defined zone of provisional calcification) - Osteopenia